All of the following statements regarding bone remodeling are TRUE EXCEPT
1. young children have a greater capacity for remodeling than adults
2. Remodeling is related to the degree of angulation
3. Injuries involving the epiphyseal plate are more likely to remodel successfully
4. angulation in the natural plane of the joint motion will remodel more successfully than angulation outside the plane of joint motion

Correct answer: 3. Injuries involving the epiphyseal plate are more likely to remodel successfully

Explanation: Injury to the epiphyseal plate is a poor prognosticindicator. Specific predictors of satisfactory remodeling include youth, proximity of the fracture to the end of the bone, and angulation in the plane of natural joint motion.